Which of the following does not pass under flexor retinaculum?
1. Flexor digitorum superficialis
2. Flexor digitorum profundus
3. Palmaris longus
4. Flexor pollicis longus

Correct answer: 3. Palmaris longus

Explanation: The structures passing superficial / above to the flexor retinaculum are: (i) the tendon of the palmaris longus, (ii) the palmar cutaneous branch of the median nerve, (iii) the palmar cutaneous branch of the ulnar nerve, (iv) the ulnar vessels, and (v) the ulnar nerve. The flexor carpi ulnaris is partly inserted on the retinaculum, and the thenar and hypothenar muscles arise from it. The structures passing deep to the flexor retinaculum are: (i) the median nerve, (ii) the tendons of the flexor digitorum superficialis, (iii) the tendons of the flexor dogitorum profundus, (iv) the tendon of the flexor pollicis longus, (v) the ulnar bursa, and (vi) the radial bursa. The tendon of the flexor carpi radialis lies between the retinaculum and its deep slip, in the groove on the trapezium Ref : B D Chaurasia's Human Anatomy , seventh edition , volume 1 , pg. no. 116 ( fig. no. 9.15 )